This 60 year old woman, with the below visual field defect has been diagnosed as a case of primary open angle glaucoma. Which part of the visual field will be the most resistant to progressive glaucomatous visual field loss?
1. Central vision
2. Nasal peripheral vision
3. Superior vision
4. Temporal peripheral vision

Correct answer: 4. Temporal peripheral vision

Explanation: Ans. (d) Temporal peripheral visionRef: Parson's 22/e, p. 289The temporal island of vision is the more resistant and may persist long after central vision is lost.